Which of the following is not seen in black gun powder of Bullet:
1. Sulphur
2. Charcoal
3. Potassium
4. Nitrocellulose

Correct answer: 4. Nitrocellulose

Explanation: Ans. (d) NitrocelluloseRef: The essentials of FSM by KS Narayan Reddy 31st ed. /197-98Gun powders can be of two types and is made of:Black gun powderSmokeless powderConsists of:* Potassium nitrate 75%* Sulphur 10%* Charcoal 15%Consists of:* Nitrocellulose (single base; gun cotton)* Nitroglycerine + Nitrocellulose* Nitroglycerine + Nitrocellulose + Nitroguanidine (triple base)